A 69-year-old man develops clubbing of his fingers. Which of the following is most likely associated with this condition?
1. RF
2. aortic stenosis
3. periosteal inflammation
4. crystal-induced arthritis

Correct answer: 3. periosteal inflammation

Explanation: Mononuclear cell infiltration and edema develop in the periosteum, synovial membrane, and joint capsule. Secondary hypertrophic osteoarthropathy (HOA) (e.g., lung cancer) is more common than primary HOA.